Which is not a beta lactum antibiotic?
1. Penicillin
2. Carbepenem
3. Monobactum
4. Azithromycin

Correct answer: 4. Azithromycin

Explanation: These are antibiotics having a beta-lactam ring. The two major groups are penicillins and cephalosporins. Monobactams and carbapenems are relatively newer additions. ESSENTIALS OF MEDICAL PHARMACOLOGY page no.716